Sol- gel transformation is seen in
1. Impression plaster
2. Hydrocolloids
3. Elastomer
4. Impression compound

Correct answer: 2. Hydrocolloids

Explanation: The typical sol-gel reaction can be described simply as a reaction of soluble alginate with calcium ions from calcium sulfate and the formation of an insoluble calcium alginate.
Ref:  Phillips 12edition page no 172